All of the following drugs can cause cholestatic jaundice except :
1. Ethambutol
2. Chlorpromazine
3. Erythromycin estolate
4. Estrogens

Correct answer: 1. Ethambutol